All the following statements are true about V. cholera 0139, EXCEPT:
1. Clinical manifestations are similar 01 Eltor strain
2. First discovered in Chennai
3. Epidemiologically indistinguishable from 01 Eltor strain
4. Produces Ol Lipo polysaccharide

Correct answer: 4. Produces Ol Lipo polysaccharide

Explanation: Vibrio Cholerae O139 is a derivative of Eltor O1 but it has a distinct lipo polysaccharide and an immunologically related O-antigen polysaccharide capsule. First discovered in chennai, V.cholerae O139 is epidemiologically indistinguishable from O1 Eltor strain. Ref: Textbook of Microbiology, Ananthanarayan and Paniker, 7th Edition, Page 312;Harrisons Principles of Internal Medicine, 16th Edition, Page 909 & 910.